Bechet's syndrome is characterized by all of the following eye manifestations, EXCEPT:
1. Posterior uveitis
2. Iritis
3. Optic Neuritis
4. Retinal pigmentation

Correct answer: 4. Retinal pigmentation

Explanation: The eye disease is present in 50% of patients with Bechet's syndrome. It is usually present at the onset but may also develop within the first few years. Iritis, posterior uveitis, retinal vessel occlusions and optic neuritis can be seen in some patients with the syndrome. Note: Scarring and bilateral panuveitis is the most dreaded complication of Bechet's, since it occasionally progresses rapidly to blindness. Ref: Moutsopoulos H.M. (2012). Chapter 327. Behcet's Syndrome. In D.L. Longo, A.S. Fauci, D.L. Kasper, S.L. Hauser, J.L. Jameson, J. Loscalzo (Eds), Harrison's Principles of Internal Medicine, 18e.